Which of the following characteristics of inlay wax is its major disadvantage?
1. Flow
2. Rigidity
3. High thermal expansion
4. Low thermal conductivity

Correct answer: 3. High thermal expansion